Inguinal ligament forms the boundries of -
1. Femoral triangle
2. Hesselbach's triangle
3. Both
4. None

Correct answer: 3. Both

Explanation: Ans. is 'c' i.e., Both border of SartoriusMedial border of adductor longusInguinal ligamentPoint where medial and lateral boundaries meetInferior epigastric artery Lateral border of rectus abdominisInguinal legament